All of the following are Eradicable diseases EXCEPT-
1. Tuberculosis
2. Guinea worm
3. Polio
4. Measles

Correct answer: 1. Tuberculosis

Explanation: Ans. is 'a' i.e., Tuberculosis o Smallpox is the only disease that has been eradicated. o Other diseases which are candidates for global eradication Polio, measles, dracunculiasis, diphtheria.